Which of the following inhalational agents is the induction agent of choice in children –
1. Methoxyflurane
2. Sevoflurane
3. Desflurane
4. Isoflurane

Correct answer: 2. Sevoflurane